Ulcer that may develop in burn tissue is:
1. Marjolin's
2. Rodent
3. Melanoma
4. Curlings

Correct answer: 1. Marjolin's

Explanation: When a squamous cell carcinoma (SCC) appears in scar it is known as Marjolins's ulcer. Ref: Bailey and Love's Short Practice of Surgery, 22nd Edition, Page 133, 25th Edition, Page 611 and 23rd Edition, Page 148; Clinical Surgery By S. Das, Page 108.